A child of phenyl ketonuria mother may develop –
1. Microcephaly, intellectual disability, congenital heart disease
2. Intellectual disability, cataract, congenital heart disease
3. HydrocephaluS, cataract.
4. Microcephaly, cataract, renal dysplasia.

Correct answer: 1. Microcephaly, intellectual disability, congenital heart disease

Explanation: Children born to phenyl ketonuria mothers have following features

Intellectual disability             
Microcephaly      
Growth retardation 
Congenital heart disease